Endometrial hyperplasia is seen in:
1. Endodermal sinus tumor
2. Dysgerminoma
3. PCOD
4. Ca cervix

Correct answer: 3. PCOD

Explanation: Endometral hyperplasia specially simple hyperplasia results from circumstances in which there is prolonged, increased oestrogen production example:

Follicular cysts of ovary
PCOD
Granulosa and theca cells
HRT